Registered medical practitioner protecting unqualified person in practice is known as -
1. Uncoverage
2. Covering
3. Touting
4. Dichotomy

Correct answer: 2. Covering

Explanation: Covering is an infamous conduct (professional misconduct), which refers to assisting unqualified person.